All are true about Antrochoanal polyp EXCEPT:
1. Unilateral and single
2. Grows backwards to the choana
3. Avulsion is the treatment of choice
4. Common in children

Correct answer: 3. Avulsion is the treatment of choice

Explanation: Avulsion is the treatment of choice TREATMENT OF ANTROCHOANAL POLYP: An antrochoanal polyp is easily removed by avulsion (Avulsion Polypectomy) either through the nasal or oral route. Recurrence is uncommon after complete removal. In cases which do recur, Caldwell-Luc operation may be required to remove the polyp completely from the site of its origin and to deal with co-existent maxillary sinusitis. These days, endoscopic sinus surgery (treatment of choice) has superceded other modes of polyp removal. Caldwell-Luc operation is avoided. DIFFERENCES BETWEEN ANTROCHOANAL AND ETHMOIDAL POLYP: Antrochoanal polyp Ethmoidal polyp Age Common in children Common in adults Aetiology Infection Allergy or multifactorial Number Solitary Multiple T.aterality Unilateral Bilateral Origin Max. sinus near the ostium Ethmoidal sinuses, uncinate process, middle turbinate and middle meatus Growth Grows backwards to the choana; may hang down behind the soft palate Mostly grow anteriorly and may present at the nares Size & shape Trilobed with antral, nasal and choanal parts. Choanal part may protrude through the choana & fill the nasopharynx obstructing both sides Usually small and grape-like masses Recurrence Uncommon, if removed completely Common Treatment Polypectomy; endoscopic removal or Caldwell- Luc operation if recurrent Polypectomy: Endoscopic surgery or ethmoidectomy (which may be intranasal, extranasal or transantral)